'Hurthle cells' are seen in
1. Agranulomatous Thyroiditis
2. Hashimoto's Thyroiditis
3. Papillary carcinoma of the thyroid
4. Thyroglossal cyst

Correct answer: 2. Hashimoto's Thyroiditis

Explanation: Answer is B (Hashimoto's Thyroiditis) "The thyroid follicles are small and are lined by epithelial cells with abundant eosinophilic granular cytoplasm termed as Huhk cells" Hurthle cells may be seen in : Hashimoto's Thyroiditis Q -Robbins 6th / 1135 Hurthle cell Thyroid adenoma Q -Robbins 6th/1141 Follicular cell carcinomas Q -Bailey 23rd / 728 "Hurthle cell tumors are a variant of Follicular neoplasms in which oxyphill or Hurthle /Ashkenazi cells predominate" - Bailey